Healing of of bone is affected by:
1. Micromovement
2. Muscle interposition
3. Hypoxia
4. All

Correct answer: 4. All

Explanation: A i.e. Micromovement; B i.e. Muscle interposition; C i.e. Hypoxia